Premature adrenarche is growth of axillary and pubic hair prior to the age
1. 6 years
2. 8 years
3. 10 years
4. 12 years

Correct answer: 2. 8 years

Explanation: Premature adrenarche is defined as growth of axillary and pubic hair prior to age of 8 years.